Decreased corneal sensations can be seen in -
1. Bacterial corneal ulcer
2. Mycotic corneal ulcer
3. Leprosy
4. Interstial keratitis

Correct answer: 3. Leprosy

Explanation: Neuroparalytic keratitis occurs due to paralysis ofthe sensory nerve supply of the cornea. Involvement of corneal nerves in leprosy. REF:Comprehensive ophthalmology,20th edition,AK Khurana,pg no.107.